Which of the following does not show an Isomorphic type of Koebner phenomenon -
1. Molluscum
2. Vitiligo
3. Psoriasis
4. None

Correct answer: 1. Molluscum

Explanation: Ans- A. Question asks indirectly the cause for Pseudo-Koebner phenomenon among the options given. Ref- Illustrated Synopsis of Dermatology and Sexually Transmitted Diseases - Neena Khanna 1.Isomorphic phenomenon (iso: similar, morph: form) or Koebner's phenomenon: new lesions of the original disease develop at sites of trauma (scratches, surgical incisions and injury). This phenomenon is seen in psoriasis, lichen planus, and vitiligo and indicates active disease. 2.Pseudo-isomorphic phenomenon: is due to auto-inoculation and is seen in infections (like plane warts, molluscum contagiosum) and eczema.